True regarding osteosarcoma is -
1. Occurs because of proliferation of osteoclasts
2. Sunray appearance in X-ray indicates new bone formation
3. Affects mainly males in 5th or 6th decade
4. Lymphtic metastasis is most common

Correct answer: 2. Sunray appearance in X-ray indicates new bone formation

Explanation: Osteosarcoma arises from primitive bone forming cells.
Sunray appearance and Codman's triangle indicate periosteal new bone formation.
Osteosarcoma occurs in childhood or young adult (10-25 years).
Blood metastasis is most common (not lymphatic).